Dopamine all of the following is true Except?
1. Causes increase in GI Isehemia
2. Positive ionotropic
3. Improves renal perfusion
4. Causes Vasoconstriction

Correct answer: 1. Causes increase in GI Isehemia

Explanation: Ans. is 'a' i.e., Causes increase in GI Ischemia o Dopamine acts on dopamine (Di & D2) and adrenergic (a1 + a2 + [31) receptors, with no action on p, receptors. o At lowest effective dose it stimulates D1 receptors in renal & mesentric blood vessels --> improves renal and mesentric perfusion. o At moderately high doses it acts as 13, agonist --> positive ionotropic. o At high doses it activates a-adrenoreceptors --> vasoconstriction.